Which hepatitis virus is a DNA virus?
1. Hepatitis A
2. Hepatitis B
3. Hepatitis C
4. Hepatitis D

Correct answer: 2. Hepatitis B

Explanation: Ans. (b) Hepatitis BRef : Jawetz 24/e, table 35-1